Regarding Hangman's fracture true is
1. High post admission mortality
2. Most common axis fracture
3. Surgical treatment is necessary
4. Union almost always occurs

Correct answer: 4. Union almost always occurs

Explanation: D i.e. Union almost always occurs Hangman's Fracture It occurs when a fracture line passes through the neural arch of the axis (C2) veebraeQ (or rarely into vertebral body) It is sometimes known as the injury between cervico - cranium and the rest of cervical spine. Because of its association with judicial execution it is also known as hangman's fracture,. The mechanism of injury in true, judicial hangman's fracture is extension with distraction; where as in civilian injuries (motor vehicle accidents) C2 fractures are caused by hyper extension, axial comression and flexion (now more common and relatively have low incidence of neurological involvement than true type). Hangman's fracture (38%) are 2nd most common type of axis (C-2) fracture, only proceeded by odontoid fractures (41%) in incidence. It is 2nd only to occipito atlantal dislocations in cervical injuries leading to fatalities. Although fractures of axis accounts for 25 - 71% of deaths at the scene of injury, acute post admission mortality is thought to be as low as 2 - 3%. Because of the high ratio of spinal canal size to spinal cord size at this level, neurological damage associated with hangman's fracture should be unusual (3- 10%). It is not necessary to treat this injury surgically as union always occursQ even in the displaced flexed position.